A patient presents with enophthalmos after a trauma to face by blunt object. There is no fever or extraocutar muscle palsy. Diagnosis is -
1. Fracture maxilla
2. Fracture zygoma
3. Blowout fracture
4. Fracture ethmoid

Correct answer: 3. Blowout fracture